Which of the following is a mucogingival surgery
1. Free gingival graft
2. Widman flap
3. Gingivectomy
4. Gingivoplasty

Correct answer: 1. Free gingival graft